Malarial parasite was discovered by -
1. Ronald Ross
2. Paul muller
3. Laveran
4. Pampania

Correct answer: 3. Laveran

Explanation: Discovery Malarial parasite-Charles Laveran Life cycle-A.Bignami,B.Grassi, G.Bastianelli Anopheles species are vectors-Ronald Ross Culture malarial parasite-Trager and Jensen (refer pgno:54 baveja 3 rd edition )